Pawaer burr, appearance on laparoscopy is characteristic of :
1. Endometriosis
2. Endometroid tumour
3. Epithelial ovarian tumour
4. Endometrial cancer

Correct answer: 1. Endometriosis

Explanation: Endometriosis